Not a grievous hurt:
1. Emasculation
2. Contusion over scalp
3. of bone
4. Hurt which endanger life

Correct answer: 2. Contusion over scalp

Explanation: B i.e. Contusion over scalp